In one and half syndrome w hich movement is classically spared?
1. Limitation of horizontal eye movement to abduction in one eye
2. No horizontal movement of the other eye
3. Presence of nystagmus when the eye on the opposite side of the lesion is abducted
4. Convergence

Correct answer: 4. Convergence

Explanation: (D) Convergence# ONE AND A HALF SYNDROME is a rare ophthalmoparetic syndrome characterized by Ma conjugate horizontal gaze palsy in one direction and an internuclear ophthalmoplegia in the other".> Most common manifestation of this unusual syndrome is limitation of horizontal eye movement to abduction (moving away from the midline) of one eye (e.g. right eye in the diagram on the right) with no horizontal movement of the other eye (e.g. left eye in the diagram on the right).> Nystagmus is also present when the eye on the opposite side of the lesion is abducted. Convergence is classically spared as Cranial Nerve III (oculomotor nerve) and its nucleus is spared bilaterally.